Hereditory spherocytosis is due to deficiency of
1. Ankyrin
2. Actin
3. Selectin
4. Integrin

Correct answer: 1. Ankyrin

Explanation: HS is caused by diverse mutations that lead to an insufficiency of membrane skeletal components.
The pathogenic mutations most commonly affects ankyrin, band 3, spectrin, or band 4.2.